Which of the following veins is found in relation to the paraduodenal fossa?
1. Inferior mesentric vein
2. Middle colic vein
3. Left colic vein
4. Splenic vein

Correct answer: 1. Inferior mesentric vein

Explanation: The paraduodenal recess / fossa is present in about 20% of subjects. The inferior mesenteric vein lies in the free edge of the peritonial fold. Ref: Last's Anatomy, 11th Edition, Page 263 ; Cunningham's Textbook of Anatomy By Daniel John Cunningham, Page 1186; Meyers' Dynamic Radiology of the Abdomen: Normal and Pathologic Anatomy By Moon A. Meyers, Chusilp Charnsangavej, Michael Oliphant, Page 383